The palatine tonsil
1. Lies on the middle constrictor muscle
2. Drains into submandibular lymph nodes
3. Is supplied by facial artery
4. Is innervated by pharyngeal plexus

Correct answer: 3. Is supplied by facial artery

Explanation: Palatine tonsil lies on superior constrictor muscle. It drains into deep cervical nodes particularly jugulodigastric nodes. It is innervated by glossopharyngeal nerve .